All are the predisposing factors for carcinoma esophagus except
1. Achalasia
2. Tylosis palmaris
3. Zenker's diverticulum
4. Ectodermal dysplasia

Correct answer: 4. Ectodermal dysplasia

Explanation: Risk factors for SCC:SmokingAlcoholIngested carcinogens Chronic AchalasiaLye (caustic) ingestionLong-term ingestion of hot liquidsPlummer Vinson syndromeTylosis palmaris et plantarisHuman papilloma virusEsophageal diverticulaDeficiency: Vitamin A, zinc, molybdenumRef: Harrison; 19th edition